Dehiscence of anterior wall of the external auditory canal cause infection to the parotid gland known as:
1. Fissure of santorini
2. Notch of rivinus
3. Petrous fissure
4. Retropharyngeal fissure

Correct answer: 1. Fissure of santorini

Explanation: (Fissure of santorini): Ref: 220-LT (4-D 4th)* In the tympanic membrane, above the short process the pars flaccida, or shrapnell's membrane, filled the gap in the tympanic ring known as the notch of Rivinus (241- LT)* There is a deficiency superiorly of both the cartilaginous annulus and the bony annulus known as the notch of Rivirus (22-LT)* The Dehiscences in the anterior wall of external auditory canal (fissure of santorini) are important as infection can travel from external auditory canal to the parotid gland and vice versa (MaQbool) (220-LT)